A young boy of 18 years gets recurrent busts of otitis externa after swimming. Which of the following methods should be recommended?
1. Not to swim
2. Use 2% acetic acid after swimming
3. Use ear drops containing an antibiotic and steroid
4. Use an antifungal ear drops after swimming

Correct answer: 2. Use 2% acetic acid after swimming

Explanation: Use of 2% acetic acid or dilute alcohol is the most-effective method to prevent otitis externa after swimming. Antibiotic, antifungal or steroid containing drugs are not recommended for prophylaxis.